In periodontal compromised tooth, which tooth movement is done carefully:
1. Uprighting
2. Intrusion
3. Proclination
4. Retroclination

Correct answer: 2. Intrusion